The GCS is determined by taking the best response in each category and totaling them; it ranges from -
1. 15-Mar
2. 0-12
3. 18-May
4. 10-Jan

Correct answer: 1. 15-Mar

Explanation: Ans. is 'a' i.e., 3-15Glasgow coma scaleEye openingVerbal responseMotor responseResponseScoreResponseScoreResponseScoreo Spontaneous-4o Oriented Sc Converses-5o Obeyes command-6o To verbal stimuli-3o Disoriented.'con fused-4o Localizes pain-5o To pain-2and converses o Withdraws to pain-4o Nil-1o Inappropriate words-3o Abnormal flexion-3 o Incomprehensible words-2(decorticate rigidity) o No response-1o Extension response-2 o Nil-1o The maximum score is - 15o The minimum score is - 03